Infective endocarditis is least likely to occur in:
1. VSD
2. ASD
3. Tetralogy of Fallot
4. Coarctation of aorta

Correct answer: 2. ASD